Person having heterozygous sickle cell trait are protected from infection of:
1. P. falciparum
2. P. vivax
3. Pneumococcous
4. Salmonella

Correct answer: 1. P. falciparum

Explanation: - People who are heterozygous to sickle cell trait (HbS) are protective against plasmodium falciparum,. - In this condition, parasites grow poorly/die d/tlow oxygen concentrations. Conditions providing protection against malaria G6PD deficiency Thalassemia Sickle cell disease Absence of DUFFY antigen Pyruvate kinase deficiency HbC